Sorting of protein molecules is performed in?
1. Mitochondria
2. Golgi apparatus
3. Nucleosome
4. Endosome

Correct answer: 2. Golgi apparatus

Explanation: Ans. (b) Golgi apparatusRef Grey's anatomy 39/ey chapter 2